All of the following drugs reduce afterload, except:
1. Enalapril
2. Propranolol
3. Hydralazine
4. Sodium nitroprusside

Correct answer: 2. Propranolol

Explanation: Ref:KDT 6/e p504 Afterloadis reduced by the drugs having aerioler dilating property. Propanolol is a non-selective beta-blocker. It can cause vasoconstriction by antagonizing beta2 mediated vasodilation. It, therefore do not decrease afterload.